Intrauterine pressure is raised during labour to :
1. First stage -- 40-50 mmHg
2. Second stage -- 100-200 mmHg
3. Third stage -- 100-200 mmHg
4. All of the above

Correct answer: 4. All of the above

Explanation: Intrauterine pressure is raised to 40-50 mmHg in the first stage 100-200 mmHg in the second stage 100-200 mmHg maintained in the third stage The diminished pain is due to lack of stretching effects D.C.DUTTA'S TEXTBOOK OF GYNECOLOGY,Pg no:117,7th edition